As per National Immunization Program, route of administration of BCG vaccine is
1. Subcutaneous
2. Intramuscular
3. Oral
4. Intradermal

Correct answer: 4. Intradermal

Explanation: As per National Immunization Programme, route of administration of BCG vaccine is intradermal. Site - left upper arm. Dose 0.1 ml (0.05 ml until 1 month age) Ref: PARK'S TEXTBOOK OF PREVENTIVE AND SOCIAL MEDICINE 23rd edition pg 123